True about dengue hemorrhagic fever are all except:
1. Thrombocytopenia
2. Thrombosis
3. Lymphadenopathy
4. Fever

Correct answer: 2. Thrombosis

Explanation: Ans: B i.e. Thrombosis Dengue hemorrhagic fever In mild forms of dengue hemorrhagic fever, there is thrombocytopenia and haemoconcentration Minor (petechiae, ecchymoses, epistaxis) or major (gastrointestinal or cerebrovascular) haemorrhagic signs may occur in dengue hemorrhagic fever Acute onset presents with fever, backache, arthralgias, generalized pains (break bone fever), relative bradycardia, lymphadenopathy etc.